Murphy's sign is seen in?
1. Acute appendicitis
2. Acute cholecystitis
3. Acute pancreatitis
4. Ectopic pregnancy

Correct answer: 2. Acute cholecystitis

Explanation: In the acute phase of CHOLELITHIASIS, the patient may have right upper quadrant tenderness that is exacerbated during inspiration by the examiner's right subcostal palpation (Murphy's sign). Ref: Bailey & Love's Short Practice of Surgery,E25,Page-967,